Menke's kinky (Steely) hair disease occurs due to:
1. Low copper levels
2. Low zinc levels
3. Low iron levels
4. Low fluoride levels

Correct answer: 1. Low copper levels

Explanation: Menke's kinky hair disease- X-linked defect in intestinal absorption of copper. Mutation in ATP7A gene. Low levels of copper and ceruloplasmin. C/F- Progressive cerebral degeneration, growth retardation Sparse brittle hair Scurvy-like bone changes Anemia and neutropenia Failure to thrive Pili toi, trichorrhexis and monilethrix may occur.